Large doses of pyridoxine are of value in some cases of-
1. Phenylketonuria
2. Homocystinuria
3. Nonketotic hyperglycemia
4. Ketotic hyperglycemia

Correct answer: 2. Homocystinuria

Explanation: Ans. is `b' i.e., HomocystinuriaInborn error of Metabolism and treatmentAlkaptonuria- Vitamin C, NitisinoneHomocystinuria- Pyridoxine + Folic acidCystinuria- Alkalization of urine + d-Penicillamine, captopril,Hartnup disease- NicotinamideMultiple carboxylase deficiency- BiotinMethyl malonic acidemia- Vit B12Hyperoxaluria- PyridoxineTyrosinemia- NTBC, Liver transplantation